A patient is a known case of polyarteritis nodosa. On examination of biopsy, accumulation of amorphous, basic, proteinaceous material in the vessel wall was seen. This finding is suggestive of:
1. Fibrinoid necrosis
2. Leucocytoclastic vasculitis
3. Hyaline arteriosclerosis
4. Caseous necrosis

Correct answer: 1. Fibrinoid necrosis

Explanation: Ans. (a) Fibrinoid necrosisFibrinoid necrosis is a form of necrosis, or tissue death, in which there is accumulation of amorphous, basic, proteinaceous material in the tissue matrix with a staining pattern reminiscent of fibrin.How to differentiate from hyaline arteriosclerosis?- please remember in fibrinoid necrosis, pink material has fibrin like quality as opposed to glassy homogenous hyaline in hyaline arteriosclerosis, (refer to image 2)